True about Brenner tumor:a) Usually bilateralb) Resembles fibromac) Accounts for 20% of all ovarian tumorsd) Common in postmenopausal age group
1. c
2. bd
3. ab
4. ac

Correct answer: 2. bd

Explanation: Brenner tumour is also called as Transitional cell tumour:
• It is a rare epithelial neoplasm of ovary resembling fibroma.
• It is an essentially benign tumour.
• Tumour is generally seen in women around menopause and is generally unilateral.
• Cause menopausal bleeding and Pseudomeig syndrome (ascites and hydrothorax).
• Malignant change is very rare.
• Histologically it shows walthard cell rests of transitional cellsQ, cells have coffee bean nuclei, cut section is gritty.